Endodermal sinus tumour is assocaited with
1. >Schiller duval body
2. >Multinucleate giant cells
3. >R-S cells
4. >Plasma cells

Correct answer: 1. >Schiller duval body

Explanation: Schiller duval body [Ref. Robbins 7th/e p 11011 Endodermal sinus tumour (yolk sac tumour) This tumour is rare but it is the second most common malignant tumour of germ cell origin. It is thought to be derived from differentiation of malignant germ cells towards extraembryonic yolk sac structure. Similar to the yolk sac the tumour is rich is a feto protein and a1 antitrypsin. The characteristic histological feature of yolk sal tumour is schiller duval body. Schiller Duval body is a glomerulus like structure composed of central blood vessel enveloped by germ cells within a space lined by germ cells. Also know Call Exner body --> Granulosa cell tumour Reinke's crystal ---> Hilus cell tumour Signet ring cells Krukenberg tumour Hobnail cells Clear cell carcinoma Psammoma bodies -4 Papillary serous cystadenoma of ovary.